Stress incontinence is a common symptom in :
1. Prolapse uterus
2. Fibroid
3. Adenomyosis
4. VVF

Correct answer: 1. Prolapse uterus

Explanation: Prolapse uterus